A 32 year old female patient underwent extraction of an upper first molar on right side and 0.3 mm of perforation was created into the sinus wall.
Oroantral communication is predominantly seen during extraction of
1. Maxillary premolars
2. Maxillary first molars
3. Maxillary second molar
4. Maxillary paramolar

Correct answer: 2. Maxillary first molars